Circumcorneal vascularization is seen in deficiency of
1. Vit D
2. Vit A
3. Riboflavin
4. Thiamine

Correct answer: 3. Riboflavin